Positive schick test indicates
1. Person is susceptible to syphilis
2. Person has immunity to syphilis
3. Person is susceptible to Diphtheria
4. Person has immunity to Diphtheria

Correct answer: 3. Person is susceptible to Diphtheria